EDTA was introduced to endodontics by
1. Nygaard Otsby
2. Ferdinand Munz
3. Ostbey Ingle
4. Rich chalter

Correct answer: 1. Nygaard Otsby